Arrange the following opioids according to their potency (most potent first) a. Fentanyl b. Sufentanil c. Morphine d. Pethidine
1. a,d,c,b
2. b,a,c,d
3. a,d,b,c
4. b,c,d,a

Correct answer: 2. b,a,c,d

Explanation: a. Fentanyl group of opioids are most potent opioids. Among these most potent is Sufentanil (approx 1000 times more potent than morphine) . The sequence of potency from high to low in this group is Sufentanil > Fentanyl > Alfentanil. b. Pethidine is 10 times less potent than morphine